Selective serotonin reuptake inhibitors are drug of choice for all of the following conditions EXCEPT
1. Acute panic attack
2. Social phobia
3. Post traumatic stress disorder
4. Generalized anxiety disorder

Correct answer: 1. Acute panic attack

Explanation: KD Tripathi essentials of medical pharmacology; edition-7;pg no-462 The SSRis are choice drugs for OCD, panic disorder, social pho bia, eating disorders, premenstrual dys:* disorder and post traumatic stress disorder.-:-.* are also being increasingly used for 1:* * * anxiety disorders, body dysmorphic disorders * compulsive buying and kleptomania. Premature ejaculation: *Elevation of mood and increased work capacity has been reported in postmyocardial infarction and other chronic somatic illness patients. Ref KD Tripati 8th ed.